Bart hemoglobin is a tetramer of
1. γ globin
2. β globin
3. α globin
4. δ globin

Correct answer: 1. γ globin

Explanation: Bart Hb is a tetramer of excess γ globin.